Acute pseudo-obstruction of the colon known as
1. Sjogren's syndrome
2. Gardner's syndrome
3. Ogilivie's syndrome
4. Peutz-jegher's syndrome

Correct answer: 3. Ogilivie's syndrome

Explanation: This condition describes an obstruction, usually of the colon, that occurs in the absence of a mechanical cause or acute intraabdominal disease. It is associated with a variety of syndromes in which there is an underlying neuropathy and/or myopathy and a range of other factors Ref: Bailey & Love's Short Practice of Surgery,E25,Page-1202